As compared to a 10 year old child, a 1 year old child will have higher
1. Oxygen consumption
2. Functional residual capacity
3. Tidal volume
4. Vital capacity

Correct answer: 1. Oxygen consumption

Explanation: Metabolic rate and oxygen consumption are higher in infants than in older children. Rest of the parameters in question remain the same.